Which of the following is true about plummer vinson syndrome?
1. More chances of development in males
2. Associated vitamin B 12 deficiency may be present
3. It is different from Paterson - Brown - Kelly syndrome
4. It does not increase the risk of malignant transformation

Correct answer: 2. Associated vitamin B 12 deficiency may be present

Explanation: Ans. is 'b' i.e., Associated vitamin B 12 deficiency may be present Plummer-Vinson syndrome (PVS)* Plummer-Vinson syndrome (PVS), also called Paterson-Brown-Kelly syndrome or sideropenic dysphagia, is a rare disease characterized by difficulty in swallowing, iron deficiency anemia, glossitis, cheilosis and esophageal webs.* These patients have a female preponderance, and association with post cricoid stenosis, web formation and increased incidence of carcinoma.* High incidence of gastric atrophy and vitamin B 12 deficiency is also noted in these patients.* Has been explained in previous sessions.